A method of homicidal smothering and traumatic asphyxia is known is -
1. Choking
2. Gagging
3. Burking
4. Overlying

Correct answer: 3. Burking